Yellow fever vaccine is valid for;
1. Life long
2. 10 years
3. 5 years
4. 20 years

Correct answer: 1. Life long

Explanation: The term of validity of the yellow fever vaccine certificate has been changed from 10 years to life long YELLOW FEVER Vaccine- Route of YF vaccine -Subcutaneous Strain used -17 D Site of administration - at insertion of deltoid Dose: 0.5ml (irrespective of age)